Von Ebner glands are mainly present in?
1. Palate
2. Buccal mucosa
3. Tongue
4. Posterior pharyngeal wall

Correct answer: 3. Tongue

Explanation: The posterior lingual serous gland also known as von Ebner's glands is a minor salivary gland located in the epithelium of the trough circling the circumvallate papillae on the dorsal surface of the tongue near the terminal sulcus. Ref: Orban's oral histology and embryology, 13th edition.